Thioacetazone has cross resistance with -
1. INH
2. Rifampicin
3. Ethionamide
4. Ethambutol

Correct answer: 3. Ethionamide

Explanation: Ans. is 'c' i.e., Ethionamide o Thioacetazone has cross-resistance with ethionamide/prothionamide."A cross resistance between ethionamide and thioacetazone is reported"o Perchlozone also shows cross resistance with thioacetazone.